All are true regarding paroxysmal nocturnal haemoglobinuria, except:
1. Haemosiderinuria
2. Pancytopenia
3. Increased alkaline phosphatase
4. Cellular marrow

Correct answer: 3. Increased alkaline phosphatase

Explanation: Answer is C (Increased alkaline phosphatase) PNH is associated with a decreased leukocyte alkaline phosphate scape. Remember the following fact to answer several questions in our kind of examinations by the principle of exclusion: Conditions with decreased LAP scores P.N.H. C.M.L. Conditions with increased LAP scores Polycythemia (-) Leukemoid reaction c.) Infection